All are curative treatment modalities for hepatocellular carcinoma, EXCEPT:
1. Trans Arterial Chemoembolization (TACE)
2. Radiofrequency ablation
3. Percutaneous Ethanol Injection
4. Resection

Correct answer: 1. Trans Arterial Chemoembolization (TACE)

Explanation: Hepatic artery obstruction is performed during an angiographic procedure and is known as transarterial, or transcatheter arterial embolization (TAE). When TAE is combined with the prior injection into the hepatic artery of chemotherapeutic agents, usually mixed with lipiodol, the procedure is known as transarterial chemoembolization (TACE). TACE is a palliative therapy for HCC. Ref: 2011 AASLD practice guidelines, Management of hepatocellular carcinoma.